Which of the following pairs are examples of enantiomers
1. D Glucose and D Galactose
2. D Glucose and D Fructose
3. Alpha D Glucose and Beta D Glucose
4. D Glucose and L Glucose

Correct answer: 4. D Glucose and L Glucose

Explanation: A. Glucose and D Galactose-epimersB. D Glucose and D Fructose-functional isomersC. D Glucose and L Glucose-enantiomers-mirror imagesD. Alpha D Glucose and Beta D Glucose-anomersRef: Harper's Biochemistry; 30th edition